A highly ionized drug-
1. Is excreted mainly by the kidney
2. Can cross the placental barrier easily
3. Is well absorbed from the intestine
4. Accumulates in the cellular lipids.

Correct answer: 1. Is excreted mainly by the kidney

Explanation: Ans. is 'a' i.e., Is excreted mainly by the kidney A highly ionized drug being lipid insoluble, is not reabsorbed by the tubules and is easily excreted by the kidneys. o Ionization of drugs affect their lipid solubility and transport across the membrane. Ionized drugs Lipid insoluble Poorly absorbed from stomach and intestine Poorly pass across placenta Not reabsorbed by renal tubules and are easily excreted Poorly cross blood brain barrier Nonionized drugs Lipid soluble Rapidly absorbed from stomach and intestine Rapidly pass across placenta Reabsorbed by renal tubule and hence net excretion by kidney is less Rapidly cross blood brain barrier